A compound fracture is initially treated by antibiotics, wound toilet and
1. Skin cover
2. External splintage
3. Prosthesis
4. Internal fixation

Correct answer: 2. External splintage

Explanation: B i.e. External splint